Superior radioulnar joint is:
1. Hinge joint
2. Pivot joint
3. Saddle joint
4. Ball and socket joint

Correct answer: 2. Pivot joint

Explanation: The radius and the ulna are connected at their upper and lower extremities by synovial joints, termed the superior and inferior radio-ulnar joints.The superior radio ulnar joint is a pivot-joint between the circumference of the head of the radius and the osseofibrous ring formed by the radial notch of the ulna and the annular ligament. The inferior radio ulnar joint is a pivot-joint formed between the head of the ulna and the ulnar notch of the lower end of the radius; Joints: A joint or place of articulation is formed where 2 or more bones come inclose contact in the body and are attached to each other by ligaments or cartilageClassification of joints: The articulations are divided into three classes: synarthroses or immovable, amphiarthroses or slightly movable, and diarthroses or freely movable. ClassesTypesExamplesFIBROUS JOINTS (SYNARTHROSES) SUTURES SYNDESMOSES GOMPHOSESCranial sutures Inferior tibiofibular joint Bone and socket jointCARTILAGINOUS JOINTS (AMPHIARTHROSES) SYNCHONDROSES (Hyaline cartilage) SYMPHYSES (Fibrocartilage)Epiphyseal plates Pubic symphesisSYNOVIAL JOINTS (DIARTHROSES) UNIAXIALGINGLYMUS (Hinge)TROCHOID (Pivot) BIAXIALCONDYLOID or ELLIPSOID SADDLE TRIAXIALBALL AND SOCKETPLANARElbow and interphalangeal joints Superior and inferior radioulnar jointRadiocarpal (wrist) joints, and metacarpophalangeal jointsCarpometacarpal joint of thumb Shoulder and hip jointIntercarpal and intertarsal jointsRef: The human body: an introduction to structure and function, By A. Faller, Michael Sch?unke, Gabriele Schunke, Page 122